Which of the following is most strongly associated with coronary heart disease?
1. Apolipoproteins
2. VLDL
3. HDL
4. Totallipoproteins

Correct answer: 1. Apolipoproteins

Explanation: Apolipoprotien B (major LDL protien) is better predictors of CHD. Ref-Park's textbook of Preventive and Social Medicine 24th edition.